Histopathology showing large cells with plant like apperance with perinuclear halo is seen in which type of renal cell carcinoma ? -
1. Oncocytoma
2. Granular cell carcinoma
3. Angiosarcoma
4. Chromophobic

Correct answer: 4. Chromophobic